All of the following are tumour markers, except -
1. None
2. HCG
3. a-feto protein
4. CEA

Correct answer: 1. None

Explanation: Tumor marker Associated tumor types Alpha fetoprotein (AFP) germ cell tumor, hepatocellular carcinoma but may also be elevated in for example endometrial cancer, fallopian tube cancer, lung cancer, breast cancer and gastrointestinal cancer. CD34 hemangiopericytoma/solitary fibrous tumor, pleomorphic lipoma, gastrointestinal stromal tumor, dermatofibrosarcoma protuberans CD99MIC 2 Ewing sarcoma, primitive neuroectodermal tumor, hemangiopericytoma/solitary fibrous tumor, synovial sarcoma, lymphoma, leukemia, sex cord-gonadal stromal tumour Chromogranin neuroendocrine tumor Epithelial membrane antigen (EMA) many types of carcinoma, meningioma, some types of sarcoma Gross cystic disease fluid protein (GCDFP-15) breast cancer, ovarian cancer, salivary gland cancer HMB-45 melanoma, PEComa (for example angiomyolipoma), clear cell carcinoma, adrenocortical carcinoma Human chorionic gonadotropin (hCG) gestational trophoblastic disease, germ cell tumor, choriocarcinoma keratin (various types) carcinoma, some types of sarcoma Myo D1 rhabdomyosarcoma, small, round, blue cell tumour muscle-specific actin (MSA) myosarcoma (leiomyosarcoma, rhabdomyosarcoma) neurofilament neuroendocrine tumor, small-cell carcinoma of the lung placental alkaline phosphatase (PLAP) seminoma, dysgerminoma, embryonal carcinoma thyroid transcription factor-1 (TTF-1) all types of thyroid cancer, lung cancer Tumor M2-PK colorectal cancer, Breast cancer, Lung cancer, Pancreatic cancer, Esophageal Cancer,[ Stomach Cancer,Cervical Cancer, Ovarian Cancer, vimentin sarcoma, renal cell carcinoma, endometrial cancer, lung carcinoma, lymphoma, leukemia, melanoma[